Best material for obturating a root canal of a tooth is:
1. Thermoplastic GP
2. Silver cone
3. Resorbable paste
4. GP with sealer

Correct answer: 4. GP with sealer